Which of the following causes vasoconstriction in all vascular beds
1. PGE2
2. PGF 2a
3. PGI2
4. TXA2

Correct answer: 4. TXA2

Explanation: Answer- D. TXA2COX pathway is involved in the synthesis of prostaglandins and Thromoxane A2.Endothelium contains PGI2 synthase and thus forms PGI2Platelets contain TXA2 synthase and therefore synthesize TXA2Blood vessels- Thromboxane A2 (TXA2)